Critical temperature for liquid nitrogen is
1. 36.5degC
2. -20degC
3. -147degC
4. -242degC

Correct answer: 3. -147degC

Explanation: Critical temperature (Tc) of substance is the temperature at and above which vapor of that substance cannot be liquefied, no matter how much pressure is applied (Note: Below critical temperature a substance can exist as a liquid or gas depending on pressure).Critical temperature of N2 is-146.9degC; that means N2 can b3e liquefied below -146.9degC - So, liquid nitrogen must be stored below -146.9degC(Refer: Morgan and Mikhail's Clinical Anaesthesiology, 5th edition, pg no 11 -12)